A patient with abdominal wall desmoids tumor should be screened for
1. Lung cancer
2. Breast cancer
3. Colonic Polyps
4. Pancreatic cancer

Correct answer: 3. Colonic Polyps

Explanation: Desmoid TumourTumour arising in the musculoaponeurotic structures of the abdominal wall, especially below the level of the umbilicus.It is a completely unencapsulated fibroma. Distribution: Extra-abdominal (60%), abdominal wall (25%), intra-abdominal (15%).Some cases recur repeatedly in spite of apparently adequate excision.About 80% of cases occur in women, many of whom have borne childrenOccurs occasionally in scars of old hernial or other abdominal operation woundsSurgical trauma: Impoant etiological factorEstrogens stimulate desmoid growthOccur in cases of FAPPathologyDiagnosisTreatmentTumour is composed of fibrous tissue containing multinucleated plasmodial masses resembling foreign body giant cells.Usually, of very slow growth, it tends to infiltrate muscle in the immediate areaEventually, it undergoes a myxomatous change and it then increases in size more rapidly.Metastasis does not occur, no sarcomatous changeMRI is the investigation of choice for extremity and abdominal wall desmoids.Wide local excision (with 2 cm margin) is the treatment of choice.Surgery + Radiotherapy: For recurrent desmoid tumors.(Refer: Sabiston's Textbook of Surgery, 19th edition, pg no: 1095)